The degree to which the health education message is perceived as trustworthy by the receiver is called
1. Setting an example
2. Comprehension
3. Credibility
4. Reinforcement

Correct answer: 3. Credibility